The pain around the hip with flexion, adduction & internal rotation of lower limb in a young adult after a road traffic accident is suggestive of -
1. Intracapsular fracture of the femoral neck
2. Extra capsular fracture of the femoral neck
3. Posterior dislocation of hip
4. Anterior dislocation of hip

Correct answer: 3. Posterior dislocation of hip

Explanation: Ans. is 'c' i.e., posterior dislocation of hip Attitude of lower limbDiagnosisAdduction, Internal rotation, FlexionAbduction, Ext. rotation, FlexionAdduction, Ext rotation, FlexionPost, dislocation of hip Ant. dislocation of hip Fracture neck femur